Drug of choice in Neonatal ITP is -
1. Platelet transfusion
2. Prednisolone
3. Dexamethasone
4. Gammaglobulin

Correct answer: 4. Gammaglobulin

Explanation: Ans. is 'd' i.e., Gammaglobulin Treatment of neonatal ITP o Prenatal administration of corticosteroids to mother. o IV immunoglobulin or sometime corticosteroids to the infant after delivery. Treatment of ITP in children IV immunoglobulin is the treatment of choice. Glucocorticoids are often used in combination.